Social physian concept was mooted by -
1. Bhore committee
2. Chadah committee
3. Shrivastava committee
4. Kartar Singh committee

Correct answer: 1. Bhore committee

Explanation: Some of the important recommendations of the Bho Committee was Integration of preventive and curative services at all administrative levels major changes in medical education which includes 3 month's training in preventive and social medicine to prepare "social physicians"(refer pgno:873 park 23 rd edition)